Strawberry appearance is seen in -
1. Lupus Vulgaris
2. Rhinoscleroma
3. Rhinosporidiosis
4. Angiofibroma

Correct answer: 3. Rhinosporidiosis

Explanation: Ans. is 'c' i.e., Rhinosporidiosis Rhinosporidiosiso Rhinosporidiosis is a chronic granulomatous infection of the mucous membrane that usually manifests as vascular friable polyps that arise from the nasal mucosa. The etiological agent is Rhinosporidium seeberi. Rhinosporidium seeberi is an aquatic protozoan (not a fungus). Infection usually results from a local traumatic inoculation with the organism. It is seen in India, Pakistan, and Sri Lanka. In India, most of the cases are seen in Southern states. Infection of the nose and nasopharynx is observed in 70% of persons with rhinosporidiosis; infection of the palpebral conjunctiva or associated structures (including lacrimal apparatus) is observed in 15% of cases. Other structures of the mouth and upper airway may be sites of disease. Disease of the skin, ear, genitals, and rectum has also been described. Rhinosporidiosis is an infection that typically limited to the mucosal epithelium. The disease progress with local replication of R seeberi and associated hyperplastic growth of host tissue and a localized immune response.Clinical features of Rhinosporidiosiso Rhinosporidiosis presents as soft leafy polypoidal mass (soft polyp), which is pink to purple in colour studded with white dots, i.e. strawberry appearance. This appearance results from sporangia, which is visible as grey or yellow spots in the vascular polypoid masses. Because the polyps are vascular and friable, they bleed easily upon manipulation.Treatmento The treatment of choice is surgical excision. Complete excision of mass is done with diathermy knife and cauterization of the base. Dapsone is being tried for treating rhinosporidiosis but with limited success.